All the following are useful intravenous therapy for hypertensive emergency except
1. Fenodopam
2. Uradipil
3. Enalaprilat
4. Nifedipine

Correct answer: 4. Nifedipine

Explanation: Ref Harrison 19 th ed pg 1626 Nifedipine is used as an oral/sublingual agent . It is not available for intravenous administration.